Complete mole is -
1. 46XY
2. 46XX
3. 45XY
4. 45 XX

Correct answer: 2. 46XX

Explanation: Ans-B i.e., 46XX "In general, complete moles have a 46XX karyotype (85%), the molar chromosomes are derived entirely from father. Infrequently, the chromosomal pattern may be 46, XY or 45, Y".